A patient present with enophthalmos after a trauma to face by blunt object.There is no fever and no extraocular muscle palsy. Diagnosis is:
1. Fracture maxilla
2. Fracture zygoma
3. Blow out fracture
4. Fracture ethmoid

Correct answer: 3. Blow out fracture

Explanation: Blow out fracture is isolated fracture of orbital floor, when a large blunt object strikes the globe. It presents with:Ecchymosis of lid, conjunctiva and scleraEnophthalmosDiplopia due to displacement of eye ballAnaesth esia of cheek and upper lip, if infraorbital nerve is involved.